Dominant parietal lobe injury leads to all of the following except:
1. Agnosia
2. Dysphasia
3. Dyscalculia
4. Urinary incontinence

Correct answer: 4. Urinary incontinence

Explanation: Ans. D: Urinary incontinence Dysfunction of the posterior superior frontal gyri and anterior parts of the cingulate gyrus can lead to incontinence of urine and stool. Patients frequently have no warning of the need to urinate or defecate, and are surprised and embarrassed when they find they have soiled themselves.